Hemodialysis is useful in treating poisoning with all of the following, EXCEPT :
1. Salicylate
2. Barbiturates
3. Methanol
4. Nifedipine

Correct answer: 4. Nifedipine

Explanation: Hemodialysis is the most effective and rapid method of removing dialysable poisons provided they are not irreversibly bound to tissue proteins. Hemodialysis is indicated in case of life threatening poisoning with ethanol, ethylene glycol, methanol, isopropanol, lithium, barbiturates, bromide and salicylates. In hemoperfusion blood is perfused through a column containing activated charcoal or resin. It is simpler, less expensive, provides higher clearance rates and is better for lipid soluble toxins compared to hemodialysis. It is used for treating barbiturate, glutethimide or paracetamol poisoning. Ref: Drug Actions: Basic Principles and Therapeutic Aspects edited by Ernst Mutschler, page 631. Textbook of Medicine By Vasan, R.S. page 1330.